Oil drop cataract is characteristic of ?
1. Diabetes
2. Chalcosis
3. Galactosemia
4. Wilson's disease

Correct answer: 3. Galactosemia

Explanation: Ans. C) Galactosemia Oil drop cataract Commonly seen in patients with galactosemia (a recessively inherited inborn error of carbohydrate metabolism). Accumulation of dulcitol (galactose reduction product) within the lens cells leads to increased intracellular osmotic pressure and fluid influx into the lens.